Vinca alkaloids act on which phase of cell cycle?
1. G1 phase
2. S phase
3. G2 phase
4. M phase

Correct answer: 4. M phase

Explanation: S phase specific drugs:- Antimetabolite - antifolate, purine, pyrimidine analogues M phase specific drugs:- Vinca alkaloids Taxanes Anti microtubule inhibitors